Which of the instrument is used to locate the canal
orifice
1. Smooth broaches
2. Endodontic explorer
3. Canal opener
4. Gates Glidden drill

Correct answer: 2. Endodontic explorer